Small palpable mass elevated above the epithelial surface is
1. Papule
2. Macule
3. Plaque
4. Vesicle

Correct answer: 1. Papule